Which thyroid malignancy is common after radiation exposure
1. Follicular
2. Papillary
3. Medullary
4. Anaplastic

Correct answer: 2. Papillary